Tumour most commonly metastasizing to bone in females is
1. Carcinoma lung
2. Carcinoma breast
3. Carcinoma thyroid
4. Carcinoma ovary

Correct answer: 2. Carcinoma breast

Explanation: Metastatic tumours in the bone are commoner than the primary bone tumours. The tumours most commonly metastasizing to bone are carcinoma of the lung in the male and carcinoma of the breast in the female. Other malignancies metastasizing to the bone are carcinoma of prostate, carcinoma of thyroid etc. Reference: Maheshwari; Essential Orthopaedics; Page no: 246